A 35 year old male complains of headaches and inability to read near objects. Most probable diagnosis
1. Presbyopia
2. Myopia
3. Astigmatism
4. Hypermetropia

Correct answer: 4. Hypermetropia

Explanation: Hypermetropia presents with complains of difficulty in near vision. When the amount of hypermetropia is such that it is not fully corrected by the voluntary accommodative efforts, then the patients complain of defective vision which is more for near than distance and is associated with asthenopic symptoms due to sustained accommodative efforts. Myopia and astigmatism generally doesn't present with complains of inability to read near objects. Presbyopia presents after age of 40 years.